Retardation of skeletal maturity can be caused by all except -
1. Chronic renal failure
2. Hypothyroidism
3. Protein energy malnutrition (PEM)
4. Congenital adrenal hyperplasia

Correct answer: 4. Congenital adrenal hyperplasia